After 3 days of fever patient developed maculo erythematous rash lasting for 48 hrs diagnosis is –
1. Fifth disease
2. Rubella
3. Measles
4. Roseola infantum

Correct answer: 4. Roseola infantum